Unit of one dose of radiation absorbed is:
1. Grey
2. Roentgen
3. Curie
4. Bequerrel

Correct answer: 1. Grey

Explanation: Ans. Grey